When a functional gene is inherited from one parent only, the condition is known as -
1. Genomic imprinting
2. Mosaicism
3. Alleles
4. Chimerism

Correct answer: 1. Genomic imprinting

Explanation: The expression of disease depending on whether the functional gene is inherited from the male or female parent (one parent only) is termed as genomic imprinting.